A schizophrenic patient on antipsychotic drugs may develop the following side effect
1. Decreased prolactin
2. Increased prolactin
3. Hypertension
4. Wakefullness

Correct answer: 2. Increased prolactin

Explanation: NAME OF THE TRACT LOCATION FUNCTION PROBLEMS WHEN BLOCKED Meso cortical To prefrontal cortex Controls attention, drive In patients with schizophrenia decreased dopamine in meso cortical tract causes lack of drive, decreased attention Decreased attention, drive Worsens negative symptoms in schizophrenia Meso limbic To limbic system Control thoughts, emotions In patients with schizophrenia increased dopamine in mesolimbic tract causes delusions and hallucinations Decreases thoughts and emotions Improves positive symptoms in schizophrenia Nigro striatal To basal ganglia Smoothens and co-ordinates movements Extra pyramidal symptoms Tubero infundibular To hypothalamus Regulates prolactin Dopamine decreases prolactin Galactorrhea Amenorrhea Sexual dysfunctions Reference: Kaplon and sadock, 11 th edition, synopsis of psychiatry, 11 th edition, pg no. 537